which of these is a charecterstic of type A personality
1. competitive
2. dependent
3. suspisous
4. odd and excentric

Correct answer: 1. competitive

Explanation: there are two types of personality disorders TYPE A PERONALITY PEOPLE are called' BORN WARRIORS' who are workaholics end up having heart disease TYPE D PERSONALITY PEOPLE are called 'BORN WORRIERS' who ruminate and have high risk of heart disease Ref. kaplon and Sadock synopsis of psychiatry, 11 th edition, pg no.746